Isolated hyperbilirubinemia is classically seen as an adverse effect of:
1. INH
2. Rifampin
3. Pyrazinamide
4. Capreomycin

Correct answer: 2. Rifampin

Explanation: Hepatotoxicity due to rifampin alone is uncommon and often consists of isolated hyperbilirubinemia. Ref: Harrisons Principles of Internal Medicine, 18th Edition, Page 1375